HRT is helpful in all of the following except
1. Vaginal atrophy
2. Flushing
3. Osteoporosis
4. Coronary heart disease

Correct answer: 4. Coronary heart disease